Classical conditioning theory was given by:
1. Masler.
2. Bandura.
3. Pavlov.
4. Skinner.

Correct answer: 3. Pavlov.

Explanation: Classical conditioning theory was given by Pavlov.